Chemical mediators which cause fever
1. IL1
2. TNF
3. Prostaglandins
4. All of the above

Correct answer: 4. All of the above

Explanation: Chemical mediators like IL1, TNF and prostaglandins cause fever.